Which of the following poison retards putrefaction:
1. Organophosphorus
2. Carbolic acid
3. Oxalic acid
4. Hydrogen-chloride

Correct answer: 2. Carbolic acid

Explanation: B i.e. Carbolic Acid